Interstitial cells of cajal are located in
1. Gi
2. Heart
3. Lung
4. Bone

Correct answer: 1. Gi

Explanation: Interstitial cells of cajal are located in the gastrointestinal tract They act as pace makers and produce slow waves which help in peristalsis Ref: Guyton and Hall textbook of medical physiology 12th edition ,page no :396